Hansen's disease is another name of:
1. Leprosy
2. Tuberculosis
3. Diabetes
4. Lichen planus

Correct answer: 1. Leprosy